Nikolsky's sign is positive in
1. Pemphigus
2. Dermatitis herpatiformis
3. Pemphigoid
4. Rubella

Correct answer: 1. Pemphigus